All are markers of acute kidney injury except?
1. Clusterin
2. Osteopontin
3. Alanine aminopeptidase
4. Acid phosphatase

Correct answer: 4. Acid phosphatase

Explanation: Acid phosphatase is NOT a marker of AKI, instead, it is alkaline phosphatase. * List of markers for AKI 1. Alanine aminopeptidase 2. Alkaline phosphatase 3. Glutamyl transpeptidase 4. Glutamyl S transferase 5. Alpha 1 microglobulin 6. Beta 2 microglobulin 7. Kidney injury molecule 8. Osteopontin 9. Clusterin 10. Neutrophil gelatinase-associated lipocalin